Nerve passing from greater sciatic foramen to lesser sciatic foramen
1. Pudendal nerve
2. Superior rectal nerve
3. Inferior rectal nerve
4. Sciatic nerve

Correct answer: 1. Pudendal nerve

Explanation: The greater sciatic foramen is an opening (foramen) at the back of the human pelvis. It is formed by the sacrotuberous and sacrospinous ligaments. The piriformis muscle passes through the foramen and occupies most of its volume. ref - BDC 6e vol2 pg363